Massive hemoptysis seen in
1. Mitral stenosis
2. Aortic stenosis
3. Pulmonary stenosis
4. Aortic regurgitation

Correct answer: 1. Mitral stenosis

Explanation: Answer- A. Mitral stenosisLarge volume hemoprysis, referred to as massive hemoptysis , is variably defined as hemoptysis of greater than 200-600 cc in 24 h. Massive hemoptysis should be considered a medicai emersency.Hemoptysis does not occur from heart failure itself. Most commonly it is due to mitral valve diseases like or mitral mitral stenosis regurgitation.